Which of the following is not a complication of radical neck dissection ?
1. Carotid blow out
2. Frey’s syndrome
3. Shoulder dysfunction
4. Phernic nerve injury

Correct answer: 2. Frey’s syndrome

Explanation: Frey’s syndrome is a complication of parotid surgery.